Purandare's cervicopexy is done in :
1. Incompetent cervix
2. Elongated cervix
3. Missed IUD
4. Congenital prolapse of uterus

Correct answer: 4. Congenital prolapse of uterus

Explanation: Ans. is d i.e. Congenital prolapse of uterus Cervicopexy or sling operation (Purandare's operation) Indicated in congenital or nulliparous prolapse without cystocele where the cervix is pulled up mechanically through abdominal route. Strips of rectus sheath of either side passed extraperitoneally and stitched to the posterior surface of the cervix close to attachment of uterosacral ligaments and then the ends of the strips are brought forward retroperitoneally and attached to external oblique aponeurosis.